Rate of impulse generation is maximum in
1. SA node
2. AV node
3. Bundle of His
4. Purkinje system

Correct answer: 1. SA node

Explanation: SA node is located at the junction of the superior vena cava with the right atriumEven though Av node Bundle can produce impulse rate of impulse production is higher in SA nodeRef: Ganong's Review of Medical Physiology Twenty-Third Edition Page No:490